Reduced enamel epithelium is
1. Thin layer laid by ameloblasts on tooth surface after they finish formation of enamel matrix
2. Reduced epithelial enamel organ to a few layers of cells
3. Once the tip of crown emerge, the reduced enamel cuticle
4. All of the above

Correct answer: 2. Reduced epithelial enamel organ to a few layers of cells